Regarding HIV infection, not true is -
1. p24 is used for early diagnosis
2. Lysis of infected CD4 cells is seen
3. Dendritic cells do not support replication
4. Macrophage is a reservoir for teh virus

Correct answer: 3. Dendritic cells do not support replication

Explanation: Follicular dendritic cells from tonsils can be infected by HIV without the involvement of CD4. REF:ANANTHANARAYAN AND PANIKER'S TEXTBOOK OF MICROBIOLOGY 9TH EDITION PAGE NO:574